True about Henoch Schonlein purpura is -
1. Medium vessels vasculitis
2. Renal symptoms start late in the disaese
3. IgA deposition in mesangium
4. Low Platelet count

Correct answer: 3. IgA deposition in mesangium

Explanation: Answer- C. IgA deposition in mesangiumHenoch - Schonlein purpura is vasculitis of small vessels (capillaries, venule or arterioles) and characterized by deposition of IgA in the wall of involved vessels.H.S. purpgra is characterized by tetrad of purpura arthritis glomerulonephritis, and abdominal pain.Diagnosis is confirmed by presence of palpable purpura with normal platelet count along with one or more of the following:abdominal pain, arthralgia/arthritis and mesangial deposition of IgA.